Ergot derivatives are used in all of the following except:
1. Uterine contraction
2. Vasoconstrictive disorders
3. Migraine
4. Dementia

Correct answer: 2. Vasoconstrictive disorders

Explanation: Ans. B: Vasoconstrictive Disorders Ergot derivatives are used to treat migraine headache and enhance uterine contraction postpartum. Ergots are produced by the fungus Claviceps purptirea, which may grow on rye and other grains. They produce sustained vasoconstriction, smooth muscle contraction and vasomotor centre depression. Natural or synthetic ergot drugs include ergotamine, methysergide, dihydroergotamine and ergonovine. Bromocriptine and pergolide are ergot derivatives with dopamine agonist activity that are used to treat Parkinson's disease. Bromocriptine is also used to treat hyperprolactinemic states